All of the following are midurethral slings used in treatment of stress urinary incontinence except
1. Minislings
2. Transobturator tape
3. Tension free vaginal tape
4. Pubovaginal slings

Correct answer: 4. Pubovaginal slings

Explanation: In pubovaginal sling surgery, strip of rectus fascia or fascia lata is placed under bladder neck and through retropubic space.